Characteristic finding in CT in a TB case is :
1. Exudate seen in basal cistern
2. Hydrocephalus is non communicating
3. Calcification commonly seen in umbellium
4. Ventriculitis is a common finding

Correct answer: 1. Exudate seen in basal cistern

Explanation: Answer is A (Exudate seen in Basal Cisterns): CSF proteins are increased and glucose levels are characteristically decreased. Basal Cisterns are most frequently affected, although often sylvian cisterns and other subarachnoid spaces may be involved. The Basal Cisterns are obscured by presence of inflammatory tissue exudate. Hydrocephalus is communicating & is usually persistent i.e. it does not improve even if ATT is given. Calcification is commonly seen in the meninges at the base of the brain. Ventriculitis may be seen, but it is not common.